A 50-year-old man dies of a respiratory illness that had been characterized by dyspnea, cough, and wheezing expiration of many years' duration. Initially episodic, his "attacks" had increased in frequency and at the time of death had become continuous and intractable. At autopsy, which of the following is the most likely histologic finding in the lungs?
1. Bronchial smooth muscle hypertrophy with proliferation of eosinophils
2. Diffuse alveolar damage with leakage of protein-rich fluid into alveolar spaces
3. Dilation of air spaces with destruction of alveolar walls
4. Hypoplasia of bronchial mucus-secreting submucosal glands

Correct answer: 1. Bronchial smooth muscle hypertrophy with proliferation of eosinophils

Explanation: Bronchial asthma, or hyperreactive airway disease, is a type of COPD caused by narrowing of airways. Asthma manifests morphologically by Bronchial smooth muscle hypertrophy Hyperplasia of bronchial submucosal glands and goblet cells.